Which of the following vitamins does not participate in oxidative decarboxylation of pyruvate to acetyl CoA ?
1. Thiamine
2. Niacine
3. Riboflavin
4. Biotin

Correct answer: 4. Biotin

Explanation: Ans. is `d' i.e., Biotin